Fatty acid characterstically present in breast milk and essential for baby growth –
1. Linoliec acid
2. Arachidonic acid
3. Palmitic acid
4. Docosahexaenoic acid

Correct answer: 4. Docosahexaenoic acid

Explanation: Up to 5-10% of fatty acids in human milk are polyunsaturated. Most of these are linoleic acid with smaller amounts of linolenic acid.
Linoleic acid → gives rise to Arachidonic acid
Linolenic acid → gives rise to Docosahexaenoic acid
Docosahexaenoic acid is found in human milk and brain lipids and is required for the development of our nervous system and visual abilities during the first six months of life.
Lack of sufficient Docosahexaenoic acid may be associated with impaired mental and visual functioning as well as attention deficit hyperactivity disorder.